b-oxidation of fatty acids with odd number of carbon atoms yield ?
1. Acetyl CoA
2. Propionyl CoA
3. Both
4. None

Correct answer: 3. Both

Explanation: Ans. is 'c' i.e., BothEven chain fatty acids are b-oxidized to acetyl CoA.Odd chain fatty acids are also b-oxidized normally but the last step produces a 3-carbon propionyl CoA along with an acetyl CoA (instead of 2 molecules acetyl CoA that occurs in even chain fatty acids).For example, a C-17 fatty acid produces 7 acetyl CoA molecules and one propionyl CoA molecule by b- oxidation.Propionyl CoA is catabolized to succinyl CoA, a krebs cycle intermediate methylmalonyl CoA. so, propionylCoA enters the gluconeogenic process.This three carbon units (propionl CoA) from odd chain fatty acids is the only part of a fatty acid that is glucogenic.